Which of the following does not act as second messenger ?
1. Cyclic AMP
2. Inositol trisphosphate
3. Diacylglycerol
4. G proteins

Correct answer: 4. G proteins